Mechanism of action of Telmisartan is:
1. Blocks alpha adrenergic receptors
2. AT-2 receptor antagonist
3. Blocks AT-1 receptors
4. Mast cell stabilizer

Correct answer: 3. Blocks AT-1 receptors

Explanation: Ans. C: Blocks AT-1 receptors Telmisartan is an angiotensin receptor blocker (arb) that shows high affinity for the angiotensin ii type 1 (at1) receptors, has a long duration of action, and has the longest half-life of any arb. In addition to blocking the renin-angiotensin system (ras), telmisartan acts as a selective modulator of peroxisome proliferator-activated receptor gamma, a central regulator of insulin and glucose metabolism. Telmisartan has binding affinity 3000 times greater for atl than at2 receptors. telmisartan also has the longest half life (24 hrs) of all angiotensin ii type 1 receptor antagonists. and it has largest volume of distribution.